Which of the following is false about varicocele
1. Most common in left testis
2. Causes infertility
3. Treated by palomo procedure
4. Present in old age patients

Correct answer: 4. Present in old age patients

Explanation: It is common in young males.
Bag of worms consistency e is present on examination
It has high recurrence rate.